Most common perforation site in tympanic membrane -
1. Anterinferior
2. Posteroinferior
3. Anterosuperior
4. osterosuperior

Correct answer: 1. Anterinferior

Explanation: Ans. is 'a' i.e., Anterioinferior o Perforation is seen most commonly in anteroinferior quadrant.Otoscopy signs for ASOMo There is congestion of pars tensao Leash of blood vessels appear along the handle of malleus and at the periphery giving it a cartwheel like appearacne.o Translucency is reduced.o Later tympanic membrane appears red and bulging with loss of landmarks,o Tympanic membrane is immobile on pneumatic otoscopy.o In later stages - perforation,'rupture of tympanic membrane may be visible most commonly in the antero inferior quadrant or there may be filling of pus in ear canal which would make visibility of tympanic membrane difficult.o There may be pulsatile otorrhea which can give light house effect (reflection of light).